The following local anaesthetic raises BP instead of tending to cause a fall:
1. Cocaine
2. Dibucaine
3. Lignocaine
4. Procaine

Correct answer: 1. Cocaine

Explanation: (Ref: KDT 6/e p356, 357) All LAs cause hypotension except cocaine. Cocaine increases blood pressure by inhibiting the reuptake of catecholamines.